A 20 yrs aged patient, presents in coma with pin point pupils and fasciculations but no fever. Most probable diagnosis is -
1. Head injury
2. Dhatura
3. Pontine haemorrhage
4. Organophosphorous poisoning

Correct answer: 4. Organophosphorous poisoning